Medial epicondyle fracture results in injury to - nerve.
1. Radial
2. Median
3. Ulnar
4. Axillary

Correct answer: 3. Ulnar

Explanation: C i.e. Ulnar Ulnar nerveQ runs in a groove in the posterior aspect of medial epicondyle and so it is least uncommonly (most commonly) involved nerve in the medial epicondylar fracture But it is important to note that the involvement is immediate not tardy (late) as in fractures of lateral condyle humerus.